The sensation of creeping bugs over the body is a features of poisoning with
1. Cocaine
2. Diazepam
3. Barbiturates
4. Brown sugar

Correct answer: 1. Cocaine

Explanation: The sensations of bugs crawling under skin are tactile hallucinations, called formication. These are seen in cocain abuse.